Maximum ground appearance change is associated with -
1. Hep A
2. Hep B
3. Hep C
4. Hep E

Correct answer: 2. Hep B

Explanation: Answer- B. Hep BHBV-infected hepatocytes may show a cytoplasm packed with spheres and tubules of HBs Ag, producing a finely granular cytoplasm (ground-glass hepatocytes).